Which of the following drugs is used for the management of Supraventricular tachycardia?
1. Adenosine
2. Amiodarone
3. Naloxone
4. Calcium gluconate

Correct answer: 1. Adenosine

Explanation: Ans. A. AdenosineAdenosine is the drug of choice for the management of supraventricular tachycardia. It is given in a dose of 0.1mg/kg IV or IO as rapid bolus. While using adenosine, one should monitor the ECG during the dose and it should be preferable administered in a vein close to the heart.